Which of the following disease is transmitted as an X-Iinked inheritance?
1. Phenylketonuria
2. Alport's syndrome
3. Myotonic dystrophy
4. Spinal muscular atrophy

Correct answer: 2. Alport's syndrome

Explanation: Robbins and Cotran pathologic basis of disease South Asia edition. *alpory's syndrome is an d linked dominant disorder having mutation in alpha 5 chain of type 4 collagen located on x chromosome. *phenylketonuria -is an autosomal recessive disorder . *myotonic dystrophy - autosomal dominant. *spinal cord atrophy-autosomal recessive.